Antipsychotic drug causing retinal pigment disorder is?
1. Thiaoridazine
2. Clozapine
3. Chlorpromazine
4. None of the above

Correct answer: 1. Thiaoridazine

Explanation: Ans. A. ThiaoridazineBlue pigmentation of skin, corneal and lenticular opacities, retinal degenration can occur with thioridazine.